Which chromosome mutation is associated with medulloblastoma?
1. Chromosome 16
2. Chromosome 17
3. Chromosome 18
4. Chromosome 19

Correct answer: 2. Chromosome 17

Explanation: Medulloblastoma can be subdivided into the following 4 groups: Group 3 medulloblastoma, often with MYC amplification and isochromosome 17 (i17q), tends to occur in infants and children, with a classic or large cell histology and the worst prognosis. Group 4 is characterized by an i17q cytogenetic alteration. IMG showing DROP METASTASIS i.e. metastasis occur by drop.